The enzyme NOT involved in substrate level phosphorylation is:-
1. Succinyl thiokinase
2. Phosphofructokinase
3. Pyruvate kinase
4. Phosphoglycerate kinase

Correct answer: 2. Phosphofructokinase

Explanation: Substrate Level Phosphorylation Definition : Formation of ATP or GTP by direct transfer of phosphoryl group from a substrate to ADP or GDP Enzyme SLP in : Succinate thiokinase Citric acid cycle. Pyruvate kinase Glycolysis Phosphoglycerate kinase Glycolysis Phosphofructokinase (PFK) fructose-6-phosphate- fructose 1,6-bisphosphate use ATP instead of producing it not a SLP